Adenine in DNA binds with
1. Thymine
2. Guanine
3. Cytosine
4. Uracil

Correct answer: 1. Thymine

Explanation: A=T and G=C Ref-Sathyanarayana 4/e p389